Which one of the following therapies would be safe in a patient with pulmonary tuberculosis having markedly abnormal liver function -
1. Streptomycin + isoniazid
2. Ethambutol + isoniazid
3. Rifampicin + isoniazid
4. Streptomycin + ethambutol

Correct answer: 4. Streptomycin + ethambutol